After 28 weeks of gestation true is/are:a)  Viableb) > 1000 gm c) Lecithin/Sphingomyelin ratio >2d) Type II pneumocytes presente) Phosphatidyl glycerol present
1. abd
2. bcd
3. abc
4. ab

Correct answer: 1. abd